Primary granules in neutrophlis contain all except __.
1. Myeloperoxidase
2. Defensin
3. Acid hydrolases
4. Lactoferrin

Correct answer: 4. Lactoferrin

Explanation: Neutrophils have two main types of granules

 The smaller specific  (or secondary) granules contain lysozyme, collagenase, gelatinase, lactoferrin, plasminogen activator, histaminase, and alkaline phosphatase. 
 The larger azurophil (or primary) granules contain myeloperoxidase, bactericidal factors (such as defensins), acid hydrolases, and a variety of neutral proteases (elastase, cathepsin G, non-specific collagenases, proteinase).

Reference-Robbins BASIC PATHOLOGY 10th edition pg-68